All of the following antibiotics are known to cause acute interstitial nephritis, except :
1. Erythromycin
2. Sulphonamides
3. Ciprofloxacin
4. Aminoglycosides

Correct answer: 4. Aminoglycosides

Explanation: Answer is D (Aminoglycosides): Aminoglycosides cause acute tubular necrosis and not acute interstitial nephritis. Therapeutic Agents causing Acute Interstitial Nephritis Antibiotics b-lactams Sulfonamides Quinolones Vancomycin Erythromycin Minocycline Rifampin Ethambutol Acyclovir Analgesics NSAIDS COX-2 inhibitors Diuretics Thiazides Loop diuretics Triamterene Anticonvulsants Phenytoin Valproate, Carbamazepine, Phenobarbital Miscellaneous Proton pump inhibitors H2 blockers Captopril Mesalazine lndinavir Allopurinol